A boy has shortness of breath and presents in OPD after being injected with penicillin. He has never shown  history of any allergy. On examination after 48 hours, his RBC's are getting destroyed. He  has been diagnosed with AIHA (immunohemolytic anemia). Type of hypersensitivity is?
1. Type I
2. Type II
3. Type III
4. Type IV

Correct answer: 2. Type II

Explanation: Drug-Induced Hemolysis

Certain drugs (such as penicillin, quinidine, phenacetin, etc.) may induce hemolysis of red blood cells. They attach to the surface of red blood cells and induce the formation of IgG antibodies.
These autoantibodies then react with red blood cell surface, causing hemolysis. This is Type II hypersensitivity reaction.

Parija SC. Textbook of Microbiology & Immunology. Elsevier Health Sciences; 2014. Page: 316-17